In Periapical lesions of average size, time needed for osteogenesis is:
1. 1-2 months
2. 2-6 months
3. 6-12 months
4. 2 Weeks

Correct answer: 3. 6-12 months